This inhibitor of bacterial protein synthesis has a narrow spectrum of antibacterial activity. It has been used in the management of abdominal abscess caused by Bacteroides fragilis, but antibiotic-associated colitis has occurred. Which of the following drugs is being described?
1. Clarithromycin
2. Clindamycin
3. Minocycline
4. Ticarcillin

Correct answer: 2. Clindamycin